Heimlich valve is used for drainage of
1. Pneumothorax
2. Hemothorax
3. Emphyema
4. Malignant plural effusion

Correct answer: 1. Pneumothorax

Explanation: The Heimlich valve(flutter valve)is a small one-way valve used for chest drainage that empties into a flexible collection device & prevents return of gases or fluids into the pleural space.The heimlich valve is less than 13 cm long and facilitates patient ambulation. Reference:SRB's manual of surgery,5th edition,page no:1116.